A 15 year old girl presented with weakness for 2 months. On examination she had pallor and icterus. Spleen was palpable. Lab examination findings are increased MCV, reduced MCHC, reticulocystosis. Osmotic fragility test is positive and Coomb's test is negative. Diagnosis is
1. Iron deficiency anemia
2. AIHA
3. G-6-PD deficiency anemia
4. Hereditary spherocytosis

Correct answer: 4. Hereditary spherocytosis

Explanation: Ans is 'd' i.e. Hereditary spherocytosisIcterus, pallor, palpable spleen, reticulocystosis all are indicating towards hemolytic anemia.In AIHA Coomb's test is positive .In G-6-PD deficiency osmotic fragilty is not affected.All the findings in the case positive in Hereditary spherocytosis.Iron deficiency anemia shows reduced MCV and MCHC. Osmotic fragilty is reduced in case of iron deficiency